Drug resistance transmitting factor present in bacteria
1. Plasmid
2. Chromosome
3. Introns
4. Centromere

Correct answer: 1. Plasmid

Explanation: Ref KDT 6/e p671 Plasmids contain extra chromosomal DNA that help in transforming the gene responsible for multiple drug resistance among bacteria These are therefore involved in horizontal transfer not resistance